The primary causative factor for myofacial pain dysfunction syndrome of the TMJ is
1. Infratemporal space infection
2. Auriculotemporal neuritis
3. Muscular overextension and over contraction
4. Otitis media

Correct answer: 3. Muscular overextension and over contraction